Amino acids secreted in cystinuria are all except
1. Ornithine
2. Histidine
3. Arginine
4. Lysine

Correct answer: 2. Histidine

Explanation: Amino acids excreted in cystinuria are (COLA): cysteine, ornithine, lysine, and arginine